The term "Left sided appendicitis" as popularly called is nothing but?
1. Diverticulitis
2. Ascending colitis
3. Descending colitis
4. Typhilitis

Correct answer: 1. Diverticulitis

Explanation: Ans. is 'a' i.e., Diverticulitis